Following are complications of chicken pox except-
1. Meningitis
2. Pneumonia
3. Enteritis
4. Reyes Syndrome

Correct answer: 3. Enteritis

Explanation: Ans. is 'c' i.e., Enteritis